Which of the following nerves carries taste sensation from posterior one-third of the tongue:
1. Facial nerve
2. Chorda tympani
3. Glossopharyngeal nerve
4. Vagus nerve

Correct answer: 3. Glossopharyngeal nerve

Explanation: The Glossopharyngeal nerve is the nerve for both general sensation and taste sensation for the posterior 1/3rd of the tongue including the circumvallate papillaeNerve supply of tongueMotor supply: All the intrinsic muscles, except the palatoglossus are supplied by the hypoglossal nerve (The palatoglossus is supplied by the cranial part of accessory nerve through the pharyngeal plexus)Sensory supply :- Anterior 2/3rd of the tongue - Lingual nerve is the nerve of general sensation and the chorda tympani is the nerve of taste for the anterior two-thirds of the tongue.- Posterior 1/3rd of tongue - The glossopharyngeal nerve is the nerve for both general sensation and taste sensation for the posterior 1/3rd of the tongue.The posterior most part of the tongue is supplied by the vagus nerve through the internal laryngeal branch